Bile esculin agar is used for ?
1. Group A streptococcus
2. Group B streptococcus
3. Group C streptococcus
4. Enterococcus

Correct answer: 4. Enterococcus

Explanation: Enterococcus Majority of the infections are caused by E. faecalis and E. faecium. Less frequently isolated species are E. gallinarum, E. durans, E. hirae and E. avium. Enterococci are normal inhabitants of the large bowel of human adults, although they usually make up < 1% of the culturable intestinal microflora. They are catalase negative (as all streptococci). Their characteristic feature is that they can grow in presence of : 40% bile 6.5% Sodium chloride At pH 9.6 At 45degC (relative heat resistant surving 60degC for 30 minutes) In 0-1% methylene blue milk They hydrolyze esculin. They grow in presence of 40% bile and hydrolyze esculin - Bile esculin positive. They are PYR (Pyrrolidonyl Arylamidase) positive. They are usually non-hemolytic (gamma-hemolytic), but some-times may show alpha or beta hemolysis. REF : ananthanarayana 10th ed